True statement about drugs used in Parkinsonism is:
1. Amantadine is a cholinergic drug
2. Vitamin B6 enhances the L-Dopa action
3. COMT inhibitors prolong the action of L'-dopa
4. None

Correct answer: 3. COMT inhibitors prolong the action of L'-dopa

Explanation: Both entacapone and tolcapone enhance and prolong the therapeutic effect of levodopa-carbidopa in advanced and fluctuating PD Ref KD Tripati 8th ed.